Treatment of post intubation croup in a child who underwent adenoidectomy is
1. Intubation of mist
2. Steroids
3. Racemic epinephrine
4. All of the above

Correct answer: 4. All of the above

Explanation: All of the above drugs are used to manage croup perioperatively.